All are medically important streptococci except -
1. Strep. pyogenes
2. Strep. agalactiae
3. Strep. equisimilus
4. Strep. salivarius

Correct answer: 4. Strep. salivarius

Explanation: Option 1 Streptococcus pyogenes - suppurative ,nonsuppurative manifestations. Option 2 S. agalactiae Neonatal sepsis and meningitis Puerperal sepsis and peripartum fever Infections in elderly people with underlying illness Option 3 Streptococcus dysgalactiae subspecies equismilis (SDSE) Often referred to as b-hemolytic streptococci. Large colony-forming human groups C and G streptococci Option 4 Streptococcus salivarus (Alpha-hemolytic streptococci) is normal flora of oral cavity (saliva) and rarely causes disease to humans